In positively skewed deviation -
1. Mean = Median = Mode
2. Mean > Medians > Mode
3. Mode > Median > Mean
4. None of the above

Correct answer: 2. Mean > Medians > Mode

Explanation: Ans. is 'b' i.e.. Mean > Medians > Mode o Explained